Which hormone synthesized from Tyrosine?
1. Cakitrioi
2. Calcitonin
3. Thyroxin
4. Cortisol

Correct answer: 3. Thyroxin

Explanation: ANSWER: (C) ThyroxinREF: Vasudevan biochemistry page 205, Lehninger Principles of Biochemistry 4m edition page 678, 859Important specialized products from tyrosine:ThyroxineMelaninCatecholamines (dopamine, norepinephrine and epinephrine)